All the following are inherited disorders of connective tissue EXCEPT
1. Alport syndrome
2. Ehlers-Danlos syndrome
3. Marfan syndrome
4. McArdle's disease

Correct answer: 4. McArdle's disease

Explanation: McArdle's disease is also known as glycogenosis type V, which is an inherited glycogen storage disorder due to deficiency of myophosphorylase deficiency.